Which type diabetes is HLA associated?
1. Type I diabetes
2. Type II diabetes
3. Malnutrition related type disease
4. Pregnancy related type diabetes

Correct answer: 1. Type I diabetes

Explanation: Type 1 DM results from the interactions of genetic, environmental, and immunologic factors which ultimately leads to the destruction of the pancreatic beta cells and insulin deficiency. Type 1 diabetes is HLA associated. Gene for type 1 DM is located in the HLA region on chromosome 6. Polymorphisms in the HLA complex account for 40-50% of risk of developing type 1 DM. Most individuals with type 1 DM have the HLA DR3 and/or DR4 haplotype. Haplotypes DQA1*0301, DQB1*0302, and DQB1*0201 are strongly associated with type 1. Haplotype DQA1*0102, DQB1*0602 appears to provide protection from type 1 DM. Ref: Harrison's Principle of Internal Medicine, 18th Edition, Page 2973